True about Merkel cells
1. Slow adapting Touch receptors
2. Located in Stratum Basale
3. Derived from Ectoderm
4. All of the above

Correct answer: 4. All of the above

Explanation: Merkel cells They are slow-adapting mechanoreceptors found in fingertips, lips, oral cavity, and hair follicle. 1) Found in stratum basale; communicate with neurons 2) CK20+ in perinuclear dot pattern sensitive/ specific for Merkel cells; also (+) for neurofilaments, S100, synaptophysin, chromogranin A, vasoactive intestinal peptide, neuron-specific enolase, and calcitonin gene-related peptide. 3) are derived from Ectoderm. Ref:- Review of Dermatology by Alikhan; pg num:-6